Standard deviation is a measure of -
1. Chance
2. Deviation from mean value
3. Central tendency
4. None of the above

Correct answer: 2. Deviation from mean value